which structure is present within lienorenal ligament:
1. Gastroepiploic artery
2. Short gastric artery
3. Tail of pancreas
4. Left adrenal gland

Correct answer: 3. Tail of pancreas

Explanation: Ans. C. Tail of pancreasThe splenorenal ligament (or lienorenal ligament), is derived from the peritoneum, where the wall of the general peritoneal cavity comes into contact with the omental bursa between the left kidney and the spleen. Its contents are splenic vessels &Tail of pancreas